Which of the following types of glomerulonephritis is most likely to cause CRF all except -
1. Post streptococcal glomerulonephritis
2. Membranous GN
3. Membrano proliferative GN
4. Focal segmental glomerulosclerosis

Correct answer: 1. Post streptococcal glomerulonephritis